Overriding of skull bones in in-utero death of a child is known as?
1. Robert's sign
2. Spaulding's sign
3. Plocqnet's sign
4. Fodere's sign

Correct answer: 2. Spaulding's sign

Explanation: Ans. is `b' i.e., Spaulding's signDead born : A deadborn child is one which has died in utero and shows one of the following signs after it is completely born